The linear solidification shrinkage of Type IV Ni-Cr based alloys is
1. 2.30%
2. 1.56%
3. 1.37%
4. 3%

Correct answer: 1. 2.30%